Recurrent corneal erosion seen in-
1. Corneal dystrophy
2. Keratoglobus
3. Keratoconus
4. Peutz- anomalies

Correct answer: 1. Corneal dystrophy

Explanation: Corneal dystrophies are inherited disorders in which the cells have some inborn defects due to which pathological changes may occur with passage of time leading to development of corneal haze in otherwise normal eyes that are free from inflammation or vascularization. There is no associated systemic disease. Dystrophies occur bilaterally, manifesting occasionally at birth, but more usually during first or second decade and sometimes even later in life.Reference:Comprehensive ophthalmology,AK Khurana,4th edition,page no.117